Which of the following is not a feature of Hepatorenal syndrome ?
1. Low GFR with serum creatinine level >1.5 mg/dL
2. Plasma osmolality > Urine osmolality
3. Urine sodium level <10 mEq/L
4. Urine red blood cell count <50/HPF

Correct answer: 2. Plasma osmolality > Urine osmolality

Explanation: Hepatorenal syndrome- pre-renal variety of AKI and blood supply to the glomerulus is compromised. Major criteria (All major criteria are required) Additional criteria (Not necessary for the diagnosis but provide supportive evidence) Low GFR- serum creatinine level >1.5 mg/dL or 24-hour creatinine clearance <40 mL/min Absence of shock, ongoing bacterial infection and fluid losses, and current treatment with nephrotoxic medications No sustained improvement in renal function after diuretic withdrawal & expansion of plasma volume with 1.5 L of plasma expander Proteinuria <500 mg/d & no USG evidence of obstructive uropathy or intrinsic parenchymal disease Urine volume <500 mL/d Urine sodium level <10 mEq/L Urine osmolality > plasma osmolality Serum sodium concentration <130 mEq/L Urine red blood cell count <50/HPF